The nitrate which does not undergo first-pass metabolism is:
1. Isosorbide mononitrate
2. Nitroglycerine
3. Pentaerythritol tetranitrate
4. Isosorbide dinitrate

Correct answer: 1. Isosorbide mononitrate